Cohort study reveals all except:
1. Incidence
2. Attributable risk
3. Relative risk
4. Odds ratio

Correct answer: 4. Odds ratio

Explanation: Odds ratio